Vitamin deficiency causing Spinocerebellar degeneration is
1. Vitamin A
2. Vitamin D
3. Vitamin E
4. Vitamin B12

Correct answer: 3. Vitamin E

Explanation: VitaminFunctionsDeficiency syndromesVitamin EMajor antioxidant; scavenges free radicalsSpinocerebellar degenerationRef: Robbins and Cotran Pathologic Basis of Disease; 9th edition; Chapter 9; Environmental and Nutritional Diseases; Page no: 442; Table 9-9